When doctor is charged with serious professional misconduct, the action will be taken by
1. MCI
2. State medical council
3. Court
4. CBI

Correct answer: 2. State medical council

Explanation: State Medical Council sends a warning notice to a doctor if he or she is found guilty of any of the following these conditions Adultery Abortion Association with unqualified persons in professional matters Advertising Addiction Alcohol Ref: K.S. Narayan Reddy's Synopsis of Forensic Medicine & Toxicology, 29th edition,Page 15 & 17.